Which of the following hormone is secreted by the kidney?
1. Renin
2. 1,25 DHCC
3. Erythropoietin
4. All of above

Correct answer: 4. All of above

Explanation: All hormones are produced from kidneyRef: Ganong's review of medical physiology; 24th edition; page no; 702